Among the many molecules of high-energy phosphate compounds formed as a result of the functioning of the citric acid cycle, one molecule is synthesized at the substrate level. In which of the following reactionsdoes this occur?
1. Citrate - a-ketoglutarate
2. a-ketoglutarate - succinate
3. Succinate - fumarate
4. Fumarate - malate

Correct answer: 2. a-ketoglutarate - succinate

Explanation: A molecule of guanosine triphosphate is synthesized from guanosine diphosphate and phosphate at the cost ofhydrolyzing succinyl CoA to succinate and CoA. This constitutes substrate-level phosphorylation, and, in contrast to oxidative phosphorylation, this is the only reaction in the citric acid cycle that directly yields a high-energy phosphate bond. The sequence of reactions from alpha-ketoglutarate to succinate is catalyzed by the a -ketoglutarate dehydrogenase complex and succinyl-CoA synthetase, respectively.